Bone pearl's or wax drippings is pathogonomic of:
1. Burns
2. Scalds
3. Lightening
4. Electrocution

Correct answer: 4. Electrocution

Explanation: Ans. (D). Electrocution(Ref: Review of Forensic Medicine & toxicology; Gautum Biswas; 2nd edition; Pg - 275)